During rapid induction of anesthesia ?
1. Sellick's maneuver is not required
2. Pre-oxygenation is mandatory
3. Suxamethonium is contraindicated
4. Patient is mechanically ventilated before endotracheal intubation

Correct answer: 2. Pre-oxygenation is mandatory

Explanation: Ans. is 'b' i.e., Pre-oxygenation is mandatory During rapid sequence induction preoxygenation is done for full 3 minutes. Sch is the muscle relaxant of choice for intubation. Sallieck's maneuver is done to prevent aspiration. Manual ventilation before intubation is avoided as this inflates the stomach and encourages regurgitation & aspiration. Rapid sequence anaesthesia When anaesthesia is given for emergency surgery, it is called a "rapid sequence anaesthesia". The patients have full stomach because there is no starvation for anaesthesia (it is an emergency surgery) and gastric emptying is delayed due to trauma, acute abdomen. Therefore, the objective of rapid sequence anaesthesia is to secure the airway rapidly and prevent aspiration of gastric contents. Procedure of rapid sequence has following steps : - Li The patient is preoxygenatedfor full 3 minutes. Intravenous induction agent (thiopentone or propofol) is given. Sellick's maneuver (cricoid/pressure) is done to prevent aspiration. After ensuring the correct position of tube cricoid pressure is released and maintenance anaesthesia (NCO 66%, 02% 33%, & inhalational agent) is given. A non-depolarizing blocker is now added. Suxamethenium (succinylcholine) is given as it quickly relaxes the laryngeal muscles so that rapid intubation can be done. Not done during rapid sequence anaesthesia : ? Manual ventilation before intubation is avoided as this inflates the stomach and encourages regurgitation & aspiration. Premedications are not given.